A super-antigen is a bacterial product that
1. Binds to B7 and CD28 co-stimulatory molecules
2. Binds to the beta chain of TCR and MHC class II molecules of APC stimulating T cell activation
3. Binds to the CD4 + molecule causing T cell activation
4. Is presented by macrophages to a larger-than-normal number of T helper CD4 + lymphocytes

Correct answer: 2. Binds to the beta chain of TCR and MHC class II molecules of APC stimulating T cell activation

Explanation: Superantigens Activate large populations of T cells that express particular subsets of the T cell receptor b protein, causing massive cytokine release and subsequent host reactions. Conventional antigens bind to MHC class I or II molecules in the groove of the ab heterodimer and bind to T cells the V regions of the TCR-a and -b chains. In contrast, superantigens bind directly to the lateral portion of the TCR-b chain and MHC class II b chain T cell superantigens include staphylococcal enterotoxins and other bacterial products.